Benign tumor which shows metastasis
1. Warthin's tumor
2. Ameloblastorna
3. Keratocanthoma
4. Neurofibrorna

Correct answer: 2. Ameloblastorna